The awareness regarding the disease in psychiatric patient in mental status examination (MSE, not MSE was given in the question) is called:
1. Insight
2. Orientation
3. Judgment
4. Rapport

Correct answer: 1. Insight

Explanation: Answer- A. Insight InsightKnowledge of own disease/illness in mental status examinationInsightAwareness of own disease/illness in mental status examinationQOrientationComponent of cognitionQRapportPatien's attitudeQJudgmentPatients capacity to make sound decisinsQ